Herpes simplex virus is -
1. Single stranded DNA
2. Double stranded DNA
3. Single stranded RNA
4. Double stranded RNA

Correct answer: 2. Double stranded DNA

Explanation: The herpesvirus capsid is icosahedral composed of 162 capsomers and enclosing the core containing the linear double-stranded DNA genome. REF:ANATHANARAYAN AND PANIKER'S TEXTBOOK OF MICROBIOLOGY 8TH EDITION PAGE NO:466